Muscle entering middle ear from pyramid apex is
1. Stapedius
2. Tensor tympani
3. Tensor palatine
4. Auricularis

Correct answer: 1. Stapedius

Explanation: A conical projection, called the pyramid, lies near the junction of the posterior and medial walls of the middle ear. It has an opening at its apex for passage of the tendon of the stapedius muscle.Ref: BD Chaurasia; 6th edition; Volume 3